A 30-year-old female from poor socio-economic strata from a hill station presents with complaints of frequency, dysuria, hematuria, loss of apetite, mild fever and amenorrhea. The most likely cause for her complaints is:
1. Pelvic inflammatory disease
2. Genitourinary tuberculosis
3. Bacterial cystitis
4. Foreign body in urinary bladder

Correct answer: 2. Genitourinary tuberculosis

Explanation: Ans. b. Genitourinary tuberculosis (Ref: Indian Journal for Practising Doctor Vol-2, No. 5: Infections and Infertility, www.indmedica.com/journals.php)Genital tuberculosis is very common in India. Most common site of affection of genital tuberculosis is the fallopian tubes and the pathological process leads to blockage of tubesInfertility due to Fallopian Tube BlockageMost Common cause in India (Developing countries)Most Common cause in Developed countries* Tuberculosis: MC cause of tubal damage is tuberculosis in India* Infection with chlamydia is the most common cause of blocked fallopian tube that causes infertility.